Suspended animation is seen with -a) Electrocutionb) Strangulation hangingc) Drowningd) Burn
1. a
2. bc
3. ad
4. ac

Correct answer: 4. ac